Common cause of acute osteomyelitis is DLETE
1. Trauma
2. Surgery
3. Fungal infection
4. Hematogenous spread

Correct answer: 4. Hematogenous spread

Explanation: Hematogenous osteomyelitis is the commonest form of osteomyelitis and most common source if bone and joint infection is Hematogenous Refer Maheshwari 6th/e 168